What is meralgia paresthetica due to?
1. Compression of the obturator nerve at the obturator foramen.
2. Hematoma around part of the sciatic nerve.
3. Compression of the lateral cutaneous nerve of thigh.
4. Compression of the femoral nerve (e.g. by a weightlifter's belt).

Correct answer: 3. Compression of the lateral cutaneous nerve of thigh.

Explanation: Ans. C. Compression of the lateral cutaneous nerve of thighThe lateral cutaneous nerve of thigh may typically be compressed at several locations, such as the inguinal ligament, by tight belts (e.g. weightlifter's belt), resulting in pain in the anterolateral part of the thigh.